In children with classical galactosemia all are true except:
1. E. coli neonatal sepsis is common
2. Elimination of galactose in diet will not reverse cataract
3. Galactose converts to galactitol which is toxic to brain
4. Children with Duarte variant of galactosemia are asymptomatic

Correct answer: 2. Elimination of galactose in diet will not reverse cataract

Explanation: E. coli sepsis is common and the onset often precedes the diagnosis of galactosemia Elimination of galactose reverse growth failure, cataract, renal and hepatic dysfunction Galactokinase deficiency -> accumulation of galactose and galactitol Duarte variant- a single amino acid substitution, has 50% of normal enzyme activity- asymptomatic